Which of the following bones has no medullary cavity?
1. Ulna
2. Clavicle
3. Fibula
4. Humerus

Correct answer: 2. Clavicle

Explanation: Clavicle has no medullary cavity BD CHAURASIA S HUMAN ANATOMY Vol 1